Which of the following is an eating disorder
1. Enuresis
2. Bulimia nervosa
3. Encoparesis
4. Tourette disorder

Correct answer: 2. Bulimia nervosa

Explanation: Feeding and eating disorders: Pica, Rumination Disorder, Restrictive Food Intake Disorder, Anorexia Nervosa, Bulimia Nervosa, Binge Eating Disorder.*Pica: the persistent eating of non-nutritive, non-food substances (>! Month)*Rumination Disorder: Repeated regurgitation of food rechewed, reswallowed, spit out(>1month)Restrictive Food Intake Disorder: failure to meet appropriate nutritional needs resulting in weight loss, nutritional deficiency, nutritional supplements*Anorexia Nervosa:Refusal to maintain body weight above normal weight for age and height the relentless drive for thinness and/or an intense fear of gaining weight --a psychopathologyself-induced starvation (restriction/ binge eating followed by purging)--a behavior.presence of medical signs and symptoms resulting from starvation:-Cachexia, amenorrhea, hypothermia, bradycardia, hypotension, lanugo hair, Leukopenia, Osteoporosis, hypokalemic alkalosis (repeated vomiting) E.*Bulimia Nervosa: clinical features(physical and psychological ) are milder compared to Anorexia nervosa the person has the goal of becoming thin but is not able to sustain prolonged periods of starvation, hunger. F: Binge Eating Disorder: Binge episodes are defined as repeated rapid and usually private episodes of overeating large quantities of food that is generally of dense caloric content, leading to guilt, anxiety about becoming fat, low self-esteem, and frequently gastric distressEncopresis*: Involuntary passage of feces, usually occurring at night or during sleep.Enuresis*: Incontinence of urine during sleep.Ref: P.329 section II Feeding And Eating Disorders(DSM-5) p.923 chap7.3 Signs and Symptoms in Psychiatry